Not true regarding Choledochal cyst
1. Epigastric mass
2. Jaundice
3. Pain in abdomen
4. Cystojejunostomy is the treatment of choice

Correct answer: 4. Cystojejunostomy is the treatment of choice

Explanation: Choledochal cyst Cystic dilation of the biliary ducts, more common in females Clinical features. Classical triad : Pain, jaundice (intermittent) & abdominal mass(10%). Most common symptom in infants : Jaundice (in 80%) Most common symptom in patients >2 years of age : Abdominal pain. In children, the major clinical symptoms are recurrent abdominal pain (81.8%), nausea & vomiting (65.5%), mild jaundice (43.6%), an abdominal mass (29%), and fever (29%) In adults, abdominal pain (87%), and jaundice (42%), and present frequently. Less common clinical findings include nausea (29%), cholangitis (26%), pancreatitis (23%), and an abdominal mass(13%) Treatment of choice is Roux-en-Y hepaticojejunostomy Ref: Sabiston 20th edition Pgno :1511